Most common side effect of inhaled corticosteroid:
1. Pneumonia
2. Oropharyngeal candidiasis
3. Atrophic rhinitis
4. Pituitary adrenal suppression

Correct answer: 2. Oropharyngeal candidiasis

Explanation: Ans. B. Oropharyngeal candidiasisMost common side effect seen with inhaled corticosteroid like beclomethasone is candidiasis. Pituitary suppression is likely to be seen with corticosteroids.